A child presents with short episodes of vacant stare several times a day. The vacant episode begins abruptly and the child remains unresponsive during the episode. There is no associated history of aura or postictal confusion and the child is otherwise normal. The likely diagnosis is:
1. Day dreaming
2. Grandmal seizures
3. Absence seizures
4. Complex partial seizures

Correct answer: 3. Absence seizures

Explanation: Presence of brief abrupt loss of awareness or consciousness with sudden discontinuation of activity followed by staring spell, eye fluttering or rhythmic movements in a previously normal child and which is not associated with an aura or any post-ictal drowsiness or consfusion is typical of Absence seizures. EEG shows characteristic 3/second spike and slow wave pattern. Ref: Essential of Pediatrics By O P Ghai, 6th Edition, Page 509-511